The prognosis of rapidly proliferating glomerulonephritis (Crescentric GN) depends upon
1. Number of crescents
2. Size of crescents
3. Shape of crescents
4. Cellularity of crescents

Correct answer: 1. Number of crescents

Explanation: Ans. is 'a' No. of crescents (Ref: Robbins (Basic) 6/e, p453]Following lines from Robbins (Basics) gives us fair idea of the answer.Robbins says about rapidly progressive glomerulo nephritis that.- " prognosis can be roughly related to the number of crescents; patients with crescents in less than 80% ~ of the glomeruli have a slightly better prognosis than those with higher percentage of crescents"